In a child of IQ 50, which of the following is true -a) Can look after himself independentlyb) Can study upto 8th standardc) Can follow simple verbal commandsd) Can handle moneye) Recognize family members
1. bce
2. bde
3. abcd
4. acde

Correct answer: 4. acde

Explanation: IQ – 50 indicates mild intellectual disability. A person with mild intellectual disability can lead to a successful and independent life. They are able to achieve academic skills up to 6" grade. They can easily handle money and recognize family members very well. They are educable (can follow simple verbal commands).